Index of severity of malnutrition is –
1. Weight for height
2. Height for age
3. Weight for age
4. None

Correct answer: 1. Weight for height

Explanation: Weight for height (wasting)  → Acute malnutrition (represents severity).
Height for age (Stunting) → Chronic malnutrition (represents duration).